Figure of 8 in chest X-ray is suggestive of:
1. TOF
2. TAPVC
3. Ebsteins anomaly
4. None of the above

Correct answer: 2. TAPVC

Explanation: Ans. B: TAPVC